Which of the following is not common to synthesis of both leading and lagging strands
1. RNA primer is needed
2. Nucleoside monophosphates are added in 5' to 3' direction along the growing DNA chain
3. DNA polymerase III synthesizes DNA
4. DNA ligase repeatedly join the ends of DNA along the growing strands.

Correct answer: 4. DNA ligase repeatedly join the ends of DNA along the growing strands.

Explanation: Option d occurs in lagging strand. Not in leading strand.